Colonoscopy performed on a 25-year-old woman with eating disorder showed dark brown to black pigmentary deposit in the lining of the large intestine. Histopathology of biopsy revealed pigment laden macrophages within the lamina propria. The woman on probing revealed use of laxatives for the 9 months to lose weight. What could be the probable laxative agent that could have caused these findings?
1. Senna
2. Sorbitol
3. Castor oil
4. Bisacodyl

Correct answer: 1. Senna

Explanation: Ans. a. SennaRef: Goodman Gilman 12th e/P 1334Senna and cascara can cause melanotic pigmentation of colonic mucosa known as melanosis coli.